All of the following are major criteria in the diagnosis of Acute Rheumatic Fever, Except:
1. Migratory Polyarthralgia
2. Subcutaneous Nodules
3. Chorea
4. Carditis

Correct answer: 1. Migratory Polyarthralgia

Explanation: Answer is A (Migratory Polyarthralgia) Major Joint involvement criteria in Acute Rheumatic Fever are Migratory Polyarthritis (Not Polyarthralgia). The typical polyarthritis is migratory moving from one joint to another over a period of hours.